Primary health care was proposed in 1978 at:
1. Alma ata
2. New York
3. Geneva
4. Delhi

Correct answer: 1. Alma ata

Explanation: Answer: A. Alma ata. (Ref Park's Textbook of PSM 22nd/Pg.832)The new approach to health care came into existence in 1978 following an international conference at Alma Ata (USSR).The Alma-Ata conference defines the primary health care as follows: Primary health care is essential health care made universally accessible to individuals and acceptable to them, through their full participation and at a cost the community and the country can afford.Millennium Development Summit was held in New York in 2000 where MDG are formulated.World Health Assembly is held in Geneva, which is a head quarter of WHO.Note: The term "comprehensive health care" (womb to tomb) was first used by Bhore committee in 1946.